Which dengue serotype has higher risk of causing Dengue hemorrhagic fever as Secondary infection?
1. DENV-1
2. DENV-2
3. DENV-4
4. DENV-3

Correct answer: 2. DENV-2

Explanation: Secondary infection with dengue serotype 2 or multiple infection with different serotypes lead to severe form dengue DHF/DSS.